The following are related to corpus luteum except
1. Luteinised granulosa cells produce progesterone
2. Estrogen continues to be produced by the luteinised theca cells
3. Luteolysis is due to estrogen, PGF2a and endothelin
4. The peak steroid production is between 23 and 25th day

Correct answer: 4. The peak steroid production is between 23 and 25th day

Explanation: The estrogen attains a lower level and maintains a plateau curve as against a peak rise in follicular phase. Progesterone attains its highest peak about 8 days(22nd day of menstual cycle) after the LH peak Regression of corpus luteum is attrubuted to fall in LH level and rise in the level of estrogen and PGF2alpha. Ref: Shaw Gynecology 17 e pg 40.